Deficiency of hypocretin leads to
1. Somnambulism
2. Bruxism
3. Narcolepsy
4. Restless leg symdrome

Correct answer: 3. Narcolepsy

Explanation: Hypocretin is a neurotransmitter that promotes wakefulness and it's deficiency leads to Narcolepsy.